Treatment regime for granuloma inguinale includes all of following drugs except
1. Azithromycin
2. Erythromycin
3. Metronidazole
4. Ciprofloxacin

Correct answer: 3. Metronidazole

Explanation: Metronidazole is not drug recommended for treatment of granuloma Inguinale.